Holocrine glands are
1. Sweat
2. Sebaceous
3. Mammary
4. Pancreas

Correct answer: 2. Sebaceous

Explanation: INDERBIR SINGH'S TEXTBOOK OF HUMAN HISTOLOGY-PAGE NO:204 Sebaceous glands The outer most cells are small and reston a basement membrane. the inner cells are larger more rounded and filled with lipid. this lipid is discharged by disintegration of the innermost cells that are replaced by proliferation of outer cells .the sebaceous glands are, therefore examples of holocrine glands